Vitamin neede for acetyl CoA carboxylase is
1. Thiamine
2. Riboflavin
3. Nicotin
4. Biotin

Correct answer: 4. Biotin

Explanation: Biotin acts as co-enzyme for carboxylation reactions. Biotin captures a molecule of CO2 which is attached to nitrogen of the biotin molecule (Fig. 34.14). The energy required for this reaction is provided by ATP. Details of the reaction are given in Figure 34.15. Then the activated carboxyl group is transferred to the substrate.Biotin Requiring CO2 Fixation Reactions 1. Acetyl CoA carboxylase This enzyme adds CO2 to acetyl CoA to form malonyl CoA. This is the rate-limiting reaction in biosynthesis of fatty acids (Step 1, Fig. 11.15). Acetyl CoA +CO2+ATP- Malonyl CoA + ADP+PiRef: DM Vasudevan - Textbook of Biochemistry, page no: 399